Which of the following grading methods is used to evaluate the prognosis/outcome after subarachnoid hemorrhage
1. Glassgow coma scale
2. Hess and Hunt scale
3. Glassgow-Blatchford bleeding score
4. Intracerebral hemorrhage score

Correct answer: 2. Hess and Hunt scale

Explanation: .subarachanoid haemorrhage is a type of intracranial haemorrhage into the subarachanoid space usually from basal cisterns. Hunt and Hess grading for subarachanoid haemorrhage grade1-asymptomatic grade2-severe headache and neck stiffness grade3-drowsy,confused or mild focal deficit grade4-stupor,hemiparesis grade5-decerebrate rigidity,coma (Ref: SRB's Manual of Surgery, 5th edition, pg no.1097)